Structure commonly involved in sympathetic ophthalmia:
1. Cornea
2. Lens
3. Optic nerve
4. Iris and ciliary body

Correct answer: 4. Iris and ciliary body

Explanation: Ans. D: Iris & Ciliary body